Post transplant nephropathy after 1 month is most likely be due to?
1. Hepatitis C
2. HHV-6
3. Polyoma BK virus
4. Herpes simplex viruses

Correct answer: 3. Polyoma BK virus

Explanation: Ans. (c) i.e. Polyoma BK virus